Tuberculous arthritis of a joint in sites other than the spine in advanced cases leads to whcih of the following -
1. Bony ankylosis
2. Fibrous ankylosis
3. Loose joints
4. Charcot's joints

Correct answer: 2. Fibrous ankylosis

Explanation: Ans- B Fibrous ankylosis is usual outcome of healed tuberculosis of joints except in spine where bony ankylosis takes place.